Bilirubin glucuronide in the urine in the absence of Urobilinogen suggests
1. Hemolytic jaundice
2. Hepatocellular jaundice
3. Obstructive jaundice
4. None of the above

Correct answer: 3. Obstructive jaundice

Explanation: Obstructive jaundiceconjugated bilirubin is increased in the blood, and it is excreated in urine. If there is complete obstruction, UBG will be decreased in urine or even absent. In total obstruction of biliary tree, the bile doesnot enter the instestine. since no pigments are entering into the gut, the feces become clay colored.Ref: DM Vasudevan - Textbook of Biochemistry for Medical Students, 7th edition, page no: 280